Upper respiratory tract infection is a common problem in children. All the following anaesthetic complications can occur in children with respiratory infections, except –
1. Bacteremia
2. Halothane granuloma
3. Increased mucosal bleeding
4. Larygospasm

Correct answer: 2. Halothane granuloma

Explanation: Due to local infection there is hyperemia of the local area & trauma can result in mucosal bleeding.
Due to local edema & inflammation laryngospasm can be a complication.
Systemic infection can lead to Bacteremia.
Halothane toxicity usually occurs in elderly women & obese; rare in children.